Most common orbital cyst in children-
1. Neurenteric cyst
2. Dermoid cyst
3. Lymphoma
4. Clobomatous cyst

Correct answer: 2. Dermoid cyst

Explanation: Common tumours arise from an embryonic displacement of the epidermis to a subcutaneous location. The cystic component is lined with keratinising epithelium and contain one or more dermal adnexal structures like hair follicle and sebaceous glands. Ref :Ak khurana 6th edition page no:420 IMG REF